Selective V2 receptor agonist useful for the treatment of central diabetes insipidus is:
1. Arginine vasopressin
2. Desmopressin
3. Lypressin
4. Terlipressin

Correct answer: 2. Desmopressin

Explanation: Desmopressin Selective agonist of V2 receptors of vasopressin. It is used for: Central diabetes insipidus Nocturnal eneuresis Hemophilia and von Willebrand's disease S/E- Tachyphylaxis when treating for bleeding disorders